Community health center covers a population of:
1. 10,000-30,000
2. 30,000-60,000
3. 60,000-80,000
4. 80,000-1,20,000

Correct answer: 4. 80,000-1,20,000

Explanation: Ans. D: 80,000-1,20,000 As on 31st march 2003, 3076 community health centers were established by upgrading the primary health centers, each community health center covering a population of 80,000-1,20,000 ( one in each community development block) with 30 beds and specialists in surgery, medicine, obstetrics and gynaecology, and paediatrics with X-ray and laboratories facilities.